Root value of radial nerve is:
1. C3,4,5,6,7
2. C4,5,6,7,8
3. C5,6,7,8; T1
4. C6,7,8; T1,2

Correct answer: 3. C5,6,7,8; T1

Explanation: Radial nerve is the continuation of posterior cord. Root value of posterior cord is C5,6,7,8 ,T1 (has 5 root values) Posterior cord is formed by posterior divisions of upper, middle and lower trunks. It supplies posterior compartment of upper limb.